By MTP Act. of 1972 abortion can be done upto how many weeks of gestation?
1. 12
2. 20
3. 22
4. 25

Correct answer: 2. 20

Explanation: Ans. b (20 weeks). (Ref. Park Text book of PSM 19th Edition Pg. 402)MTP# Opinion of two RMP's is required where pregnancy exceeds 12 weeks and is not more than 20 weeks.# Written consent of guardian is necessary when age is less than 18 and in case of lunatics even if they are older than 18 years.# Conditions- medical, eugenic, humanitarian, socio-economic, failure of contraceptive devices.Recommendations for MTP1. A RMP is qualified to perform MTP if at least 25 MTPs have been assisted by him in a authorized centre & having a certificate, or has got 6 months HO training in obstetrics & gynaecology, or has got diploma or degree in obstretics & Gynaecology.2. Termination can only be performed in hospitals approved by govt.3. Written consent for women.